The component of cell most affected with radiation?
1. Cell wall
2. Cell membrane
3. Cytoplasm
4. DNA

Correct answer: 4. DNA